Which of the following is the most serious late side effect of treatment of Hodgkins disease?
1. Cardiac injury
2. Infertility
3. Hair loss
4. Osteoporosis

Correct answer: 1. Cardiac injury

Explanation: Answer- A. Cardiac injuryThe most serious late side effects include second malignancies and cardiac injury. Patients are at risk for the development of acute leukemia in the first 10 years after treatment with combination chemotherapy regimens that contain alkylating agents plus radiation therapy.